The alveoli are normally kept dry by the:-
1. Macrophages
2. Surfactant
3. Negative intrapleural pressure
4. High pCO2 in the alveoli

Correct answer: 2. Surfactant

Explanation: Surfactant is a mixture of dipalmitoyl phosphatidyl choline, other proteins & lipids. Role in keeping alveoli dry :- 1. The lipids in the alveolus 2. In the absence of surfactant, the unopposed surface tension in the alveoli would produce a force that greatly favors transudation of fluid from blood into alveoli. Note Factors increasing surfactant synthesis: Factors decreasing surfactant synthesis: Glucocorticoids Thyroxine Stretching of lungs in infancy Beta adrenergic agonist Calcium Smoking Long term inhalation of 100% oxygen Occlusion of main bronchus/pulmonary artery